Cells charcteristic of Hodgkin's disease are -
1. Lacunar cells
2. Red - Sternberg cells
3. Giant cells
4. Eosiphils

Correct answer: 2. Red - Sternberg cells